Small pox eradication was successful because of all except-
1. Subclinical cases don't transmit disease
2. Highly effective vaccine -
3. Lifelong immunity
4. Cross resistance with animal pox

Correct answer: 4. Cross resistance with animal pox